Which of the following produce gastrin?
1. Mucous neck cells
2. Parietal cells
3. Chief cells
4. Endocrine cells

Correct answer: 4. Endocrine cells

Explanation: D: Endocrine cells produce gastrin.
A: Mucous neck cells are found in the necks of the gastric pits.
B: Parietal cells produce HCl.
C: Chief cells produce pepsinogen
E: Foveolar cells or surface mucous cells are mucus-producing cells which cover the inside of the stomach, protecting it from the corrosive nature of gastric acid.